In an ablated animal, If Myeloid Stem Cells are injected, which type of cells are induced after the incubation period?
1. T-Lymphocyte
2. Erythroid
3. Fibroblast
4. Hematopoietic Stem Cells

Correct answer: 2. Erythroid

Explanation: Ans. (b) Erythroid(Ref: Robbins 9th/pg 27-28, 580-581)Neutrophils, Monocytes, Basophils, Erythroids and Megakaryocytes are myeloid in origin while lymphocytes are Lymphoid in origin. Hematopoietic Stem Cells give rise to myeloid stem cells and not the reverse.